Drug of choice for Late East African Trypanosomiasis
1. Pentamidine
2. Suramine
3. Melarsoprol
4. Nifurtimox

Correct answer: 3. Melarsoprol

Explanation: Early east African trypanosomiasis : Suramine
Late east African trypanosomiasis : Melarsoprol
American trypanosomiasis : Benznidazole